All are true about Vitamin D except:
1. 25-hydroxylation occurs in the liver
2. 1-(x hydroxylation occurs in the kidneys
3. In the absence of sunlight, the minimum daily requirement is 400-600 IU
4. William's syndrome consists of intellectual disability, obesity and precocious puberty

Correct answer: 4. William's syndrome consists of intellectual disability, obesity and precocious puberty

Explanation: D i.e. Williams syndrome consists of intellectual disability, obesity & precocious puberty